Which of the following is true of psoriatic arthritis -
1. Involves distal joints of hand and foot
2. Pencil in cup deformity
3. Sacroilitis
4. All of the above

Correct answer: 4. All of the above

Explanation: Psoriatic arthritis refers to an inflammatory musculoskeletal disease that has both autoimmune and autoinflammatory features characteristically occurring in individuals with psoriasis. In 60-70% of cases, psoriasis precedes joint disease. In 15-20% of cases,the two manifestations appear within 1 year of each other. In about 15-20% of cases, the arthritis precedes the onset of psoriasis and canpresent a diagnostic challenge. The frequency in men and women is almost equal, although the frequency of disease patterns differs some what in the two sexes. The disease can begin in childhood or late in lifebut typically begins in the fourth or fifth decade, at an average age of 37 years. Many classification schemes have been proposed for the broad spectrum of arthropathy in PsA. Wright and Moll described five patterns: (1) arthritis of the DIP joints; (2) asymmetric oligoarthritis; (3) symmetric polyarthritis similar to RA; (4) axial involvement (spine and sacroiliac joints); and (5) arthritis mutilans, a highly destructive form of the disease. These patterns frequently coexist, and the pattern that persists chronically often differs from that of the initial presentation.A simpler scheme in recent use contains three patterns: oligoarthritis,polyarthritis, and axial arthritis. Ref - Harrisons 20e p2517